Rise in body temperature after ovulation is due to :
1. Estrogen
2. Progesterone
3. LH
4. FSH

Correct answer: 2. Progesterone

Explanation: Progesterone is a thermogenic hormone, causes a shift in the basal body temperatureHence the end of the fertile period can be known by measuring daily basal body temperatureThe woman checks her temperature every morning and resumes intercourse 3 days after the thermal shift, the rise in body temperature that signals that the corpus luteum is producing progesterone and that ovulation has occurredRef: Berek and Novak's Gynecology; 15th edition; Chapter 10